In phlebography dye is injected into:
1. Anterior tibial vein
2. Great saphenous vein
3. Dorsal metatarsal vein
4. Short saphenous vein

Correct answer: 3. Dorsal metatarsal vein

Explanation: Ans. Dorsal metatarsal vein